Type of epithelium lining the vocal cords is:
1. Keratinising stratified squamous
2. Non-keratinising stratified squamous
3. Pseudostratified ciliated columnar
4. Cuboidal

Correct answer: 2. Non-keratinising stratified squamous

Explanation: Types of epithelium lining the larynx. Vocal cords are lined by stratified squamous epithelium.